The oxygen flush valve - all true except
1. A flow between 25 and 50 L/minute can be delivered
2. Barotraumas has been reported on its use
3. It can be activated regardless of master switch on off
4. It deliver is oxygen at 55 to 60 psi pressure

Correct answer: 1. A flow between 25 and 50 L/minute can be delivered

Explanation: It delivers flow between 35 to 70 L / minute minimum flow is 35 L / minute. There is a direct tubing connecting the O2 pressure regulator to the O2 flush. It gives 35-70 L/min of flow with a pressure of 45-60 PSIG . Its main use is during the mask ventilation with a lot of leak between the mask and the patient's face especially in elderly patients and in patients with difficult airways and also acceptable power source for jet ventilation for providing partial, if not total, ventilatory support in most clinical situations.